In sweat glands, the sympathetic neurotransmitter?
1. Norepinephrine
2. Epinephrine
3. Dopamine
4. Acetylcholine

Correct answer: 4. Acetylcholine

Explanation: Ans. is 'd' i.e., AcetylcholineNeurotransmitter in all preganglionic autonomic nerves (both sympathetic and parasympathetic) is acetylcholine (ACH)Neurotransmitter in all ganglia (both sympathetic and parasympathetic) is acetylcholine.Neurotransmitter in postganglionic parasympathetic fibres is acetylcholine.In posganglionic sympathetic fibres, the major neurotransmitter is noradrenaline (NA) except in renal and mesentric vasculature where it is dopamine, in sweat glands, some blood vessels where it is acetylcholine and in adrenal medulla where it is adrenaline.